True about posttraumatic stress disorder -a) Recall of traumatic eventsb) Associated with major trauma like pelvic fracturec) Treatment is ECTd) Disturbed sleep
1. b
2. c
3. ad
4. ab

Correct answer: 3. ad